Lens contain which antigen?
1. Sequestered antigens
2. Cross antigens
3. Heterophile antigens
4. Isoantigens

Correct answer: 1. Sequestered antigens

Explanation: Ans. Sequestered antigens